Which anesthetic agent is contraindicated for intrathecal use?
1. Fentanyl
2. Remifentanyl
3. Sufentanil
4. AIfentanil

Correct answer: 2. Remifentanyl